Prostaglandin analogues are used in -
1. Induction of labor
2. Induction of abortion
3. Management of PPH
4. All of the above

Correct answer: 4. All of the above

Explanation: Ans. is 'd' i.e., All of the above o Prostaglandins are autocrine/paracrine hormones as they act locally at the site of productiono PGF2a acts predominantly on the myometrium, while PGE2 acts mainly on the cervix due to its collagenolytic activityo Use in Obstetrics :# Induction of abortion (MTP and missed abortion)# Termination of molar pregnancy# Induction of labor# Cervical ripening prior to induction of abortion or labour# Augmentation (acceleration) of labour# Management of atonic PPH# Medical management of tubal ectopic pregnancyo Contraindications:# Hypersensitivity to the compound# Uterine scar# Active cardiac, pulmonary, renal or hepatic disease# Bronchial asthma (PGF2a)